Tobey Ayer test is positive in
1. Lateral sinus thrombosis
2. Petrositis
3. Cerebral abscess
4. Subarachnoid hemorrhage

Correct answer: 1. Lateral sinus thrombosis

Explanation: Tobey Ayer test is positive in lateral sinus thrombosis. Tobey-Ayer test: This is to record CSF pressure by the manometer and to see the effect of manual compression of one or both jugular veins. Compression of a vein on the thrombosed side produces no effect while compression of a vein on the healthy side produces a rapid rise in CSF pressure which will be equal to bilateral compression of jugular veins. (Ref: Textbook of diseases of ENT, PL Dhingra, 7th edition, pg no. 93)